Amphotericin–B is obtained from :
1. Streptomyces nodosus
2. Streptomyces pimprina
3. Streptomyces nousseri
4. Streptomyces fragilis

Correct answer: 1. Streptomyces nodosus